Sudeck's dystrophy symptoms are all except -
1. Pain
2. Increased bone density
3. Sweating
4. Stiffness

Correct answer: 2. Increased bone density

Explanation: CLINICAL FEATURES Following some precipitating event, the patient complains of burning pain, and sometimes cold intolerance, in the affected area - usually the hand or foot, sometimes the knee or hip, and sometimes the shoulder in hemiplegia. In the mild or early case there may be no more than slight swelling, with tenderness and stiffness of the nearby joints. More suspicious are local redness and warmth, sometimes changing to cyanosis with a blotchy, cold and sweaty skin. X-rays are at first usually normal but triple-phase radionuclide scanning at this stage shows increased activity. Later, or in more severe cases, trophic changes become apparent: a smooth shiny skin with scanty hair and atrophic, brittle nails. Swelling and tenderness persist and there may be marked loss of movement. X-rays now show patchy osteoporosis, which may be quite diffuse. In the most advanced stage, there can be severe joint stiffness and fixed deformities. The acute symptoms may subside after a year or 18 months, but some degree of pain often persists indefinitely REF:Apley's system of ohopaedics-t9h edn- pg no 262